Gene for the ryanodine receptor, mutation in which is responsible for malignant hyperthermia is located on which chromosome-
1. Chromosome 19
2. Chromosome 17
3. Chromosome 18
4. Chromosome 16

Correct answer: 1. Chromosome 19

Explanation: Malignant hyperthermia is a genetic(autosomal dominant) hypermetabolic muscle disease. Malignant hyperthermia is a genetic disorder; there is a defect in the gene that codes for the protein ryanodine receptor (RyR) in skeletal muscle. Ryanodine receptor is a Ca2+-release channel present in the membrane of L-tubule of skeletal muscle. When it couples with dihydropyridine receptor (DHPR)from T Tubules , there is release of Ca2+ into the sarcoplasm, initiating muscle contraction.So Increased Ca++ transport L-type calcium channels in T-tubules leads to malignant hyperthermia DHPR is an L-type voltage-sensitive Ca2+ channel. Rarely inhalational anaesthetics can cause A malignant hyperthermia manifesting as muscle rigidity, sweating and masseteric spasm